A 40-year-old man is brought to the doctor by his family for the rapid intellectual decline. Examination shows fast semi-purposive movements in hands. His father and grandfather had a similar illness. What is the diagnosis?
1. Pre-senile Dementia
2. Lewy body dementia
3. Corticobasilar degeneration
4. Huntington chorea

Correct answer: 4. Huntington chorea

Explanation: The fast semi-purposive movements - Chorea. With advancing age chorea reduces and dystonia, rigidity, and myoclonus appear. Huntington's disease has an autosomal dominant pattern of inheritance . The intellectual decline is a common feature. Presenile dementia is seen in Down's syndrome Lewy body dementia presents with hallucinations, delusions, and dementia. Corticobasal degeneration/Alien hand syndrome-Asymmetric dystonia, apraxia (Loss of visuospatial skills), focal limb myoclonus